All of the following are Eradicable diseases EXCEPT:
1. Tuberculosis
2. Guinea worm
3. Polio
4. Measles

Correct answer: 1. Tuberculosis

Explanation: ANSWER: (A) TuberculosisREF: Park 20ta edition page 182 & 138, style="color: rgba(20, 20, 20, 1); font-family: Times New Roman, Times, serif">ase_candidate_table. pdfDisease considered as candidates for global eradication by the International Task Force forDisease EradicationDiseases already eradicated:So far, two diseases have been successfully eradicated -- one specifically affecting humans (smallpox), and one affecting a wide range of ruminants (rinderpest).Diseases targeted for eradication:DiseaseChief obstacles to eradicationConclusionDracunculiasis (Guinea worm disease)Sporadic insecurityEradicable (Eradicated from India)PoliomyelitisInsecurity: low vaccine coverage; increased national commitment neededEradicableLymphatic filariasisWeakness of primary health care systems in Africa; increased national/inter national commitment neededPotentially eradicableMeaslesLack of suitably effective vaccine for young infants; cost; public misconception of seriousnessPotentially eradicableMumpsLack of data on impact in developing countries; difficult diagnosisPotentially eradicableRubellaLack of data on impact in developing countries; difficult diagnosisPotentially eradicableTaeniasis/Cysticercosis (pork tapeworm)Demonstration of elimination on national scalePotentially eradicable